Cephalic index is most useful in identification of -
1. Age
2. Sex
3. Race
4. Religion

Correct answer: 3. Race

Explanation: Ans. is 'c' i.e., Race o Cephalic index is used for determination of race.Race determination of skeletonA) Cephalic Index (CI)# Cephalic index is defined as the index of breadth of skull.Cephalic index =Max. breadth of skull--------------------Max. AP length of skullx 100# Based of cephalic index races are clasified into following three:-1) Dolichocephalic (long headed): Cephalic index is 70-75 and is a feature of Caucasions, Pure Aryan (Indians), Aborigines, and Negroes.2) Mesaticephalic (medium headed): Cephalic index is 75-80 and is a feature of Europeans, and Chinese.3) Brachycephalic (short headed): Cephalic index is more than 80 and is a feature of Mongolian.B) Brachial Index# Brachial index is defined as:-Brachial index =Length of radius----------------Length of humerusx 100# Brachial index is 74.5 in Europeans and 78.5 in Negroes.C) Crural index# It is defined as:-Crural index =Length of tibia--------------Length of femurx 100# Crural index is 83.3 in Europeans and 86.2 in Negroes.D) Humero-femoral index (HF index)# It is defined as:-Humero-femoral index =Length of humerus----------------Length of femurx 100# It is 69 in Europeans and 72.4 in Negroes.E) Intermembral index# t is:-Intermembral index =Length of radius + humerus------------------------Length of tibia + femurx 100# It is almost same (70) in Europeans and Negroes.F) Orbit# It is square in Pure Aryans (Indians), Negroes, and Arborigines. It is triangular in Chinese and Europeans. It is 'rounded' in Mongols.G) Nasal opening# It is broad in Pure Aryans (Indians), Negroes, and Arborigines. It is narrow and elongated in Chinese and Europeans. It is 'rounded' in Mongols.H) Palate# Palate is rectangular in Pure Aryans (Indians), Negroes, and Arborigines. It is triangular in Chinese and Europeans. It is rounded (or horse shoe shaped) in Mongols.